Down Syndrome, All are seen except?
1. t(14 ; 21)
2. Trisomy 21
3. t(11 : 14)
4. t (15 :21)

Correct answer: 3. t(11 : 14)

Explanation: Ans. is 'c' i.e., t (11:14) In 95% of cases of Down Syndrome - trisomy of 21 Extra chromosome is of maternal in origin 1% have mosaic with 46 chromosomes orT 4% have robertsonian translocation. t (13 : 21) t(14:21) t (15 : 21) orT Very rarely long arm of chromosome 21 is triplicate (Partial trisomy)